Best way to differentiate a periapical cyst and a perapical granuloma is
1. Radiographically
2. Histologically
3. Clinically
4. None of the above

Correct answer: 2. Histologically